Number of branches of the internal carotid artery in the neck is
1. 1
2. 2
3. 3
4. 0

Correct answer: 4. 0

Explanation: Unlike the external carotid artery, the internal carotid normally has no branches in the neck. Branches of the internal carotid artery Memonic: A VIP'S COMMA A: anterior choroidal artery V: Vidian artery I: inferolateral trunk P: posterior communicating artery S: superior hypophyseal artery C: caroticotympanic artery O: ophthalmic artery M: meningohypophyseal trunk M: middle cerebral artery A: anterior cerebral artery